Which one of the following drugs cause an increase in gastro intestinal motility?
1. Atropine
2. Glycopyrrolate
3. Fentanyl
4. Neostigmine

Correct answer: 4. Neostigmine

Explanation: Neostigmine is a reversible acetylcholinesterase inhibitor, inhibits the break down of acetylcholine in the synaptic cleft thereby increasing the levels of acetylcholine. Acetylcholine in turn acts on intestinal smooth muscles and increase intestinal peristalsis. Actions of Acetylcholine on smooth muscle: GIT Bronchial Muscle Genito Urinary Tract Increased Tone Constriction Increased peristalsis of ureter Increased peristalsis Detrusor muscle contraction Sphincters relaxation Relaxation of bladder trigone and sphincter Abdominal cramps Evacuation of bowel Ref:Essentials of Medical Pharmacology, 5th Edition, Pages 80-81, 94, 420